The commonest site of diverticulosis is:
1. Ascending colon
2. Transverse colon
3. Descendin gcolon
4. Sigmoid colon

Correct answer: 4. Sigmoid colon

Explanation: Sigmoid colon